Discharge from Baroreceptors causes inhibition of
1. Caudal Ventrolateral Medulla
2. Rostral Ventrolateral Medulla
3. Nucleus ambiguous
4. Nucleus tractus solitarus

Correct answer: 2. Rostral Ventrolateral Medulla

Explanation: B i.e. Rostral Ventrolateral Medulla